Vi polysaccharide vaccine for typhoid is administered by which route?
1. Oral
2. IM
3. IV
4. Intradermal

Correct answer: 2. IM

Explanation: Vi polysaccharide vaccine for typhoid is recommended in children more than 2 years of age. It is administered as a single dose subcutaneously or intramuscularly. Ref: Park 21st edition, page 215.